The following element is an important constituent in Paneth cells:
1. Zinc
2. Copper
3. Molybdenum
4. Selenium

Correct answer: 1. Zinc

Explanation: Paneth cells, located in the basal portion of the intestinal crypts below the stem cells, are exocrine cells with large, eosinophilic secretory granules in their apical cytoplasm. Paneth cell granules undergo exocytosis to release lysozyme, phospholipase A2, and hydrophobic peptides called defensins, all of which bind and breakdown membranes of microorganisms and bacterial walls. Paneth cells have an important role in innate immunity and in regulating the microenvironment of the intestinal crypts. They also contain Zinc. Ref: Paulsen D.F. (2010). Chapter 15. Digestive Tract. In D.F. Paulsen (Ed), Histology & Cell Biology: Examination & Board Review, 5e.